Single lesion in skin is seen in which type of leprosy:
1. TT
2. BT
3. BL
4. LL

Correct answer: 1. TT

Explanation: A i.e. TT